Which of the following is not true for juvenile angiofibroma:
1. Biopsy for diagnosis
2. Benign tumor
3. Surgical excision
4. Second decade

Correct answer: 1. Biopsy for diagnosis

Explanation: Biopsy is never done for diagnosis of nasopharyngeal fibroma as it is extremely vascular tumor and is attended by profuse bleeding.